HLA associated with psoriasis:
1. HLA-B27
2. HLA-DR4
3. HLA-CW6
4. HLA-B8

Correct answer: 3. HLA-CW6

Explanation: Ans. (c) HLA-CW6(Ref: Robbins 9th/pg 215)Role of Susceptibility Genes: Association of HLA Alleles with Disease;DiseaseMarker*. Ankylosing spondylitis Q*. Reiter's syndrome Q*. Acute anterior uveitis*. Reactive arthritis Q*. Psoriatic spondylitisB27 QB27 QB27B27 QB27*. Juvenile arthritis, pauciarticular*. Rheumatoid arthritis Q*. Sjogren's syndrome QDR8, DR5DR4 (DRB1*04 ) QDR3 Q*. (celiac disease) Q*. Chronic active hepatitis*. Dermatitis herpetiformis*. Psoriasis vulgaris*. Pemphigus vulgarisDQ2/DQ8 QDR3DR3Cw6 QDR4, DQ1 QDQ7DiseaseMarker*. Type 1 diabetes mellitus*. Hyperthyroidism (Graves')*. Adrenal insufficiencyDQ8, DR4, DR3,DR2 QB8, DR3 DR3*. Myasthenia gravis*. Multiple sclerosisB8, DR3 QDR2*. Behcet's disease*. Congenital adrenal hyperplasia*. Good-pasture's syndrome*. Thromboangitis obliteransB51B47DR2 QB5